Dangerous area of face drained by which of the following veins?
1. Angular vein and Temporal vein
2. Deep facial vein and Temporal vein
3. Deep facial vein and Angular vein
4. Facial and Post auricular vein

Correct answer: 3. Deep facial vein and Angular vein

Explanation: Infections can spread to cavernous sinus by angular vein and deep facial vein draining dangerous area of face. Fig:- Dangerous area of face